True about Bacillus anthracis -a) Zoonotic diseaseb) Man to man transmission possiblec) Agent for bioterrorismd) Antibiotic has no rolee) Mc Faydean's reaction seen
1. acd
2. bde
3. ace
4. ade

Correct answer: 3. ace